Following total thyroidectomy the patient develops respiratory stridor. The cause is:
1. B/L recurrent laryngeal nerve paralysis
2. B/L complete paralysis
3. U/L recurrent laryngeal nerve paralysis
4. U/L complete paralysis

Correct answer: 1. B/L recurrent laryngeal nerve paralysis

Explanation: (a) B/L recurrent laryngeal nerve paralysis(Ref. Current Diagnosis & Treatment Otolaryngology, Lalwani, 3rd ed., 478)In B/L recurrent laryngeal nerve paralysis the vocal cords will be in median position, leading to stridor.Note: This is the only vocal cord palsy with stridor, breathing is normal in the remaining palsies.